Twisting force cause:
1. Comminuted fracture
2. Spiral fracture
3. Oblique fracture
4. None

Correct answer: 2. Spiral fracture

Explanation: A direct blow usually causes a transverse fracture and damage to the overlying skin
Crushing is more likely to cause a comminuted fracture.
Twisting causes spiral fracture.
Compression causes a short oblique fracture.
Bending results in fracture with a triangular butterfly fragment.